Rupture of extensor pollicis longus occurs four weeks after:
1. Colles' fracture
2. Radial styloid fracture
3. Smith's fracture
4. Scaphoid fracture

Correct answer: 1. Colles' fracture

Explanation: A i.e. Colle's fracture